Dried semen stains on clothes identified by -
1. Spectrometry
2. UV rays
3. Infrared rays
4. LASER

Correct answer: 2. UV rays

Explanation: Ref: the synopsis of forensic medicine &toxicology-Dr.K.S. Narayana reddy 28th edition pg no:236 proof of semen: the only absolute prrof of semen is the finding of atl;east one unbroken spermatozoon,or electrophoretic LDH isoenzyme detection of sperms. in the absence of spermatozoa, a stain which gives characteristic fluorescence in ultraviolet light , a high level of acid phosphatase , a high creatine phosphokinase and P30 can be considerd due to semen